Type of tympanogram seen in Otitis media with effusion is?
1. Type A
2. Type B
3. Type C
4. Type D

Correct answer: 2. Type B

Explanation: ANSWER: (B) Type BREF: Dhingra 4th ed page 26See APPENDIX-48 for "TYPES OF TYMPANOGRAM" APPENDIX - 48Types Of Tympanogram:TypeCharacteristicCause ANormal ear canal volume(ECV)= 1 cc, complianceNormal middle ear pressure=0 daPaNormal mobilityNormal AdHigh peakNormal Ear Canal Volume Extremely Hyper flaccid Middle-earNormal Middle-ear PressureOssicular dislocation, thin TM (healing post rupture), loss of elastic fibers of TMAsReduced peak Normal Ear Canal Volume Normal Middle-ear Pressure Restricted MobilityStiff system, otosclerosisB (normal ear canal volume)Flat or no peak Normal Ear Canal Volume, compliance No Mobility No Middle-ear PressureFluid-filled Middle- ear (Serous Otitis Media)B (with large ear canal volume)ECV > 2 ccAbnormal Ear Canal Volume (large)No Mobility No Middle-ear PressureTM perforation or patent ventilation tubeB (with small ear canal volume)ECV < 1 ccSmall Ear Canal Volume No Mobility No Middle-ear PressureWax/debris or faulty probe(pushed against the side of the ear canal)cNormal Ear Canal Volume, Restricted Mobility (low amplitude)Negative(sub-atmospheric) middle ear pressure Peak compliance < 0 negative peak outside normal rangeEustachian tube dysfunctionD (notching)Shows dip in the peak Sharp double peak like "W"Atrophic Scarred drum or hypermobile TME Ossicular chain discontinuity